Definition of Population attributable risk
1. Estimate of amount of disease that can be reduced if risk factor is modified/ eliminated
2. Difference in risk of exposed and non-exposed groups
3. Risk of disease among exposed as compared to nonexposed
4. Extent to which disease can be attributed to risk factor under study

Correct answer: 1. Estimate of amount of disease that can be reduced if risk factor is modified/ eliminated